Oral hypoglycemic drug that is less likely to cause hypoglycemia is:
1. Repaglinide
2. Gliclazide
3. Rosiglitazone
4. Glimipiride

Correct answer: 3. Rosiglitazone

Explanation: Rosilglitazone are selective agonists for the nuclear peroxisome proliferator activated receptor,which enhances the transcription of several insulin responsive genes Metformin and glitazones- antihyperglycemic agents- no hypoglycemia but reduce excess plasma glucose levels REF: K D TRIPATHI 6 Edition, Page No - 270)